Which of the following is likely to have bifurcated roots?
1. Mandibular canine
2. Maxillary canine
3. Mandibular incisor
4. Maxillary incisor

Correct answer: 1. Mandibular canine

Explanation: Two canals in mandibular incisors are reported in 41 percent of the cases.
Mandibular canine usually has one root and one canal but can occasionally have two (14% cases).
The incidence of bifurcated root is most common in mandibular canine amongst the given options.